Fibres of which of the following nerve decussate before emerging out from the brain stem:
1. Facial nerve
2. Abducent nerve
3. Trochlear nerve
4. Oculomotor nerve

Correct answer: 3. Trochlear nerve

Explanation: The trochlear nucleus is located near the midline, just inferior to the motor nucleus of the occluomotor nerve and at the level of the inferior colliculus. The axons of the fourth cranial nerve leave the nucleus and actually decussates in thesuperior medullar velum. This is the only cranial nerve to decussate prior to exiting the brainstem.Ref: Human Anatomy,by B.D Chaurasia,4th Edition,Vol 3,Page 115